Epstein Barr virus is associated with
1. Nasopharyngeal carcinoma
2. Burkitt's lymphoma
3. Infectious mononucleosis
4. All of the above

Correct answer: 4. All of the above